False about Hypertrophic gastropathy is
1. Seen in menetriers disease and ZES
2. It is associated with malignancy
3. It shows cerebriform rugacity on stomach
4. Produce MALTomas

Correct answer: 4. Produce MALTomas

Explanation: It is seen in menetriers disease&ZES &it associated with malignancies & it form cribriform rugacitu on stomach. The condition needs to be differentiated from other forms of hypertrophic gastropathy such as Zollinger-Ellison syndrome, hypertrophic hypersecretory gastropathy, lymphocytic gastritis, or gastric carcinoma MALTomas are the tumors referred to as lymphomas of mucosa- associated lymphoid tissue. REFERANCE. menetrier's disease